Occupational cancer involve following organs, except:
1. Lung
2. Breast
3. Bladder
4. Liver

Correct answer: 2. Breast

Explanation: Breast